Lysozyme is present in all except:
1. Lacrimal secretions
2. CSF
3. Saliva
4. Respiratory tract secretions

Correct answer: 2. CSF

Explanation: Lysozyme is a heat-labile protein which acts as a muraminidase and hence has bactericidal activity. It is present in tears, saliva and all mucosal secretions, but is absent in CSF, sweat and urine